Philadelphia chromosome is consistently found in
1. AML
2. CLL
3. CML
4. All of the above

Correct answer: 3. CML